Mantle cell lymphoma are positive for all of the following except
1. CD 20
2. CD 23
3. CD 5
4. CD 43

Correct answer: 2. CD 23

Explanation: Solution
Mantle cell lymphoma are usually CD23 negative.
They are positive for CD5, CD 20, and CD43.